The drug mainly causing afterload reduction is:
1. Digoxin
2. Captopril
3. Dobutamine
4. Frusemide

Correct answer: 2. Captopril

Explanation: ACE inhibitors are mixed dilators. They inhibit the generation of angiotensin II resulting in dilatation of arterioles which decreases peripheral vascular resistance and thereby after load. Nitrates are primarily venodilators- decrease Cardiac output mainly calcium channel blockers are mainly arteriolar dilators -decreases peripheral vascular resistance by causing vasodilatation (Ref- ESSENTIAL OF MEDICAL PHARMACOLOGY-K.D TRIPATHI)